Sarcoidosis -
1. Is associated with HLA B1
2. Is commoner in elderly people
3. Causes caseating granuloma
4. Produces bilateral hilar lymphadenopathies in the absence of pulmonary symptoms

Correct answer: 4. Produces bilateral hilar lymphadenopathies in the absence of pulmonary symptoms